Leptin is decreased in all except
1. Androgen
2. Exercise
3. Obesity
4. Starvation

Correct answer: 3. Obesity

Explanation: In obesity, despite the presence of elevated leptin concentrations, which should reduce food intake and body fat, obese patients appear to be insensitive or resistant to leptin.